All of the following agents are used in glaucoma treatment, except:
1. Apraclonidine
2. Timolol
3. Pilocarpine
4. Metoprolol

Correct answer: 4. Metoprolol

Explanation: - Drugs used in Glaucoma

Miotics- Pilocarpine, Physostigmine, Echothiophate
Beta-blockers - Timolol, levobunolol, Carteolol, betaxolol
PGF2α analogs - Latanoprost, bimatoprost, travoprost
Alpha 2 agonist- Apraclonidine, brimonidine
Alpha 1 agonist- Dipivefrine, adrenaline
Carbonic anhydrase inhibitors- Dorzolamide, brinzolamide

- Metoprolol, though a beta blocker is not used for glaucoma because of its local anaesthetic property. Drugs having local anaesthetic property will increase the risk of corneal ulcers.